What percentatge of the healthcare waste generated is infectious?
1. 10% - 15%
2. 50%
3. 75%
4. 100%

Correct answer: 1. 10% - 15%

Explanation: - about 80% of health care wastes accounts for general health care wastes. - 1% accounts for sharps - 15% is pathological and infectious wastes. - 3% chemical and pharmacological wastes. Reference : Park's textbook of preventive and social medicine, 23rd edition, pg no:790